Catecholamines
1. Decrease gut contraction
2. Bronchoconstriction
3. Decrease plasma glucose
4. Inhibit lipolysis

Correct answer: 1. Decrease gut contraction

Explanation: Catecholamines decrease the motility and contraction of GIT REF.Textbook of physiology by AK Jain 7th edition page no.742